Best investigation for detection of stress fracture is?
1. X-ray
2. CT scan
3. Bone scan
4. MRI

Correct answer: 4. MRI

Explanation: Ans DBoth MRI and Bone scan can identify stress fracture but MRI has better image resolution and can also rule out many similar disorders and hence is considered better.